Small intestine develops from-
1. Foregut
2. Midgut
3. Hindgut
4. Endodermal cloaca

Correct answer: 2. Midgut